Maintenance of high urinary pH is important during methotrexate treatment because
1. Bladder irritation is reduced
2. It decreases renal tubular secretion of methotrexate
3. Leucovorin toxicity is increased in a dehydrated patient
4. Methotrexate is a weak acid

Correct answer: 4. Methotrexate is a weak acid

Explanation: Ref-KDT 6/e p823 Methotrexate is a weak acid and basic reabsorbed in acids urinary PH. Higher plasma concentration may result in toxicity. Therefore to decrease the reabsorptiion through renal tubes urinary pH must be maintained